Treatment for fibrous dysplasia in a young 25 yrs old patient involving maxilla is best treated by
1. Enbloc resection
2. Cosmetic contouring
3. Maxillary resection
4. Radiation therapy

Correct answer: 2. Cosmetic contouring